Cizotinib is inhibitor of which receptor ?
1. Tyrosine kinase
2. VEGF receptor
3. TNF alpha receptor
4. PDGF receptor

Correct answer: 1. Tyrosine kinase

Explanation: Ans. is 'a'i.e., Tyrosine kinaseRefCardio - oncology: principles, prevention and management, by puja Mehta, p. 10)CrizotinibIt is a small molecule multitargeted tyrosine kinase receptor inhibitor targeting ALK, MET, ROS1 kinases.By inhibiting ALK tyrosine kinase activity, crizotinib inhibits cell proliferation, induces Gl - S phase cell cycle arrest and apoptosis.It is approved for the first line in the management of metastatic non-small cell lung cancer with an ALK mutation.